Blood supply of prelaminar optic nerve is
1. Short posterior ciliary arteries
2. Branch retinal artery
3. Ophthalmic artery
4. Meningeal arteries

Correct answer: 1. Short posterior ciliary arteries